Which of the following pathological process is responsible for acute glomerulonephritis:
1. Vascular thrombosis
2. Immune complex disease
3. Infective
4. Neoplastic

Correct answer: 2. Immune complex disease

Explanation: Ans. B: Immune complex disease Acute GN following streptococcal infection is commonest type in children Post-streptococcal GN is a typical example of immune complex disease